Milian's ear sign is seen in
1. Erysipelas
2. Cellulitis
3. Erysipeloid
4. None of the above

Correct answer: 1. Erysipelas

Explanation: Erysipelas Erysipelas is a common infection involving the upper dermis and lymphatics, where as cellulitis involves the deeper dermis and subcutaneous fat. (1) Ear involvement is called Milian's ear sign, and it is a feature distinguishing erysipelas from cellulitis, because the pinna has no deeper dermis and subcutaneous tissue. (2) Bilateral ear erysipelas is rare, but it should be considered in the differential diagnosis when encountering patients with bilateral red ears. Ref:- Madke B, Nayak C. Eponymous signs in dermatology